"Agarophobia" is described as which of the following?
1. Fear of closed spaces
2. Fear of crowds
3. Fear of Night
4. Fear of Height

Correct answer: 2. Fear of crowds

Explanation: Ans. B. Fear of crowdsAGORAPHOBIAa. Irrational & undue phobia of a particular situation is known as agoraphobia.b. This is an example of irrational fear of situation.c. It is commonest type of phobia encountered in clinical practice.d. Women outnumber men in suffering agoraphobiase. It is characterized by irrational fear of being in places away from familiar setting of homes.f. Although it was earlier thought to be a fear of open spaces only now it includes fear of open space, public places, crowded places, any other place where there is no escape from public view.g. In fact patient is afraid of all the places or situation from where escape may be difficult, or help may not be available if he suddenly develops embarrassing or incapacitating symptoms.h. These embarrassing or incapacitating symptoms are the classical symptoms of public phobia.i. A full-blown panic attack may occur (agoraphobia with panic disorder) or only a few symptoms like dizziness or tachycardia may occur (agoraphobia without panic disorder).